A charachteristic infection of Nocardia Asteroides is -
1. Diarrhea
2. Secondary Dissemination to liver
3. Brain Abscess
4. Colonic Diverticulosis

Correct answer: 3. Brain Abscess

Explanation: Ans. is 'c' i.e., Brain Abscess Brain Abscess is the most charachteristic infection of Nocardia Asterodies amongst the options provided. The most common site of dissemination of nocardiosis is the brain, The typical manifestation is a subacute brain abscess'. The most charachteristic infection of Nocardia Asterodies is Respiratory Tract Disease in the form of subacute pneumonia (Not provided amongst options).